Wright's clinical classification of children's cooperative
behaviour has categories
1. 3
2. 4
3. 5
4. 2

Correct answer: 1. 3